Pandemic is defined as -
1. Endemic in small population
2. Endemic in large population
3. Epidemic in small population
4. Epidemic is large population

Correct answer: 4. Epidemic is large population

Explanation: Ans. is 'd' i.e., Epidemic is large population Sporadic - Disease occurring irregularly from time to time. Endemic - Disease occurring regularly in expected frequency. Epidemic - Disease occurring in excess of expected frequency. Pandemic - Epidemic affecting a large proportion of the population over a wide geographic area.